Mcburney's point tenderness is indicative of signifies -
1. Acute appendicitis
2. Acute pancreatitis
3. Acute hepatitis
4. Acute nephritis

Correct answer: 1. Acute appendicitis

Explanation: Ans. 'a' i.e., Acute appendicitis * McBurney's point is the name given to the point over the right side of the abdomen that is one-third of the distance from the anterior superior iliac spine to the umbilicus (navel).* This point roughly corresponds to the most common location of the base of the appendix where it is attached to the cecum.* Deep tenderness at McBurney's point, known as McBurney's sign, is a sign of acute appendicitis.